A 19-year-old boy fell from the motet- bike on his shoulder. The doctor diagnosed him a case of Erb's paralysis. The following signs and symptoms will be observed except-
1. Loss of abduction at shoulder joint
2. Loss of lateral rotation
3. Loss of pronation at radioulnar joint
4. Loss of flexion at elbow joint.

Correct answer: 3. Loss of pronation at radioulnar joint

Explanation: Movements lost in Erb's paralysis : -


Abduction and lateral rotation of shoulder.
Flexion and supination of the forearm.
Biceps and supinator jerks are lost
Sensations are lost over a small area over the lower part of deltoid.